Creep value of which of the following is the highest?
1. Low copper amalgam alloy
2. Admix alloy
3. Single composition alloys
4. Creep value of all the above mentioned alloys is same

Correct answer: 1. Low copper amalgam alloy